Complex I of ETC is inhibited by
1. Amobarbital
2. Cyanide
3. CO
4. H2S

Correct answer: 1. Amobarbital

Explanation: Inhibitors of ETC Site-I (Complex-I) Rotenone: A fish poison and also insecticide. Inhibits transfer of electrons through complex-I-NADH-Q-reductase.Amobarbital (Amytal) and Secobarbital: Inhibits electron transfer through NADH-Q reductase.Piericidin A: An antibiotic. Blocks electron transfer by competing with CoQ.Drugs: Chlorpromazine and hypotensive drug like guanethidine.Ref: MN Chatterjea Textbook of Medical Biochemistry, 6th edition, page no: 143